T cells in lymph node are present in:
1. Paracortical area
2. Mantle layer
3. Medullary cords
4. Cortical follicles

Correct answer: 1. Paracortical area

Explanation: Ans. a. Paracortical area